Pseudo Cushing's syndrome is seen in?
1. Obesity
2. Alcoholism
3. Depression
4. All of the above

Correct answer: 4. All of the above

Explanation: Ans. D. All of the abovePseudo Cushing's syndrome:a. Some patient resemble like Cushing's syndrome (Pseudo Cushing syndrome).b. These are patient with obesity, chronic alcoholism, depression and acute illness of any type.